A farmer from central asia persents with an acute onsetr of swinging pyrexia, rigor sweating and monoartucular arthritis of the hip. He also complained of headache and insommia On examination he is found to have a small firm splenomegaly and hepatomegaly. His counts showed leucopenia with relative lymphocytosis The most likely diagnosis is -
1. Brucellosis
2. Bagassosis
3. Byssionosis
4. Chikungunya fever

Correct answer: 1. Brucellosis